All are true about Hypertrophic Obstructive cardiomyopathy, except-
1. Beta agonists are useful
2. Asymmetrical hypertrophy of septum
3. Dynamic L. V. outflow obstruction
4. Double apical impulse

Correct answer: 1. Beta agonists are useful

Explanation: Ref : Harrison's 19th ERT pg 1568 b-Adrenergic blocking agents and L-type calcium channel blockers slow AV nodal conduction and improve symptoms; cardiac glycosides should be avoided, as they may increase contractility and worsen obstruction. Symptoms exacerbated by atrial fibrillation may persist despite adequate rate control due to loss of AV synchrony and may require restoration of sinus rhythm. Disopyramide and amiodarone are the preferred antiarrhythmic agents, with radiofrequency ablation considered for medically refractory cases. Anticoagulation to prevent embolic stroke in atrial fibrillation is recommended.